Class V lupus nephritis is called?
1. Diffuse nephritis
2. Membranous nephritis
3. Sclerotic nephritis
4. Focal nephritis

Correct answer: 2. Membranous nephritis

Explanation: Minimal mesangial lupus nephritis (class I) Characterized by immune complex deposition in the mesangium, identified by immunoflourescence and by electron microscopy, Mesangial proliferative lupus nephritis (class II) Characterized by mesangial cell proliferation Focal lupus nephritis (class III) Defined as involvement of less than 50% of all glomeruli. The lesions may be segmental or global Affected glomeruli may exhibit swelling and proliferation of endothelial and mesangial cells associated with leukocyte accumulation, capillary necrosis, and hyaline thrombi. .Diffuse lupus nephritis (class IV) It is the most common and severe form of lupus nephritis. Subendothelial immune complex deposits may create a circumferential thickening of the capillary wall, forming "wire loop" structures on light microscopy. Membranous lupus nephritis (class V) It is characterized by diffuse thickening of the capillary walls due to deposition of subepithelial immune complexes, similar to idiopathic membranous nephropathy The immune complexes are usually accompanied by increased production of basement membrane-like material. Advanced sclerosing lupus nephritis (class VI) It is characterized by sclerosis of more than 90% of the glomeruli, and represents end-stage renal disease.